All true about interaction of reading of spo2 and methemoglobinaemia, except-
1. MetHb absorbs red and infrared wavelength of light in a 1:1 ratio corresponding
2. Increase in Methb produce an underestimation when spo2 > 70%
3. Increase in Met Hb produce an overestimation when spo2 <70%
4. Does not get affected in Methemoglobinaemia

Correct answer: 4. Does not get affected in Methemoglobinaemia

Explanation: Met Hb absorb red and infrared wavelengths of light in a 1:1 ratio corresponding to an SpO2 of approximately 85%. Therefore, increases in Met Hb produce an underestimation when SpO2> 70% and an overestimation when SpO2 <70%.